The first sign of Volkman's ischemia is -
1. Paresthesia
2. Pain on passive extension of fingers
3. Pain on active extension of fingers
4. Swelling of fingers

Correct answer: 2. Pain on passive extension of fingers

Explanation: Stretch pain is the earliest sign of impending compartment syndrome. The ischemic muscles, when stretched, give rise to pain.